All of the following diuretics increases K+ excretion EXCEPT:
1. Acetazolamide
2. Furosemide
3. Triamterene
4. Thiazide

Correct answer: 3. Triamterene

Explanation: Ans. C i.e. Triamterene Triamterene It is a potassium-sparing diuretic used in combination with thiazide diuretics for the treatment of hypertension and edema.